All of the following statements regarding Diabetes Mellitus are true, Except -
1. Insulin is not used in Type II Diabetes mellitus
2. Insulin levels may be increased in patients with Type II Diabetes mellitus
3. Insulin is essential to reverse Diabetic Ketoacidosis
4. Intravenous Insulin is administered as a sliding scale in the hospital setting

Correct answer: 1. Insulin is not used in Type II Diabetes mellitus